Not a defense mechanism:
1. Derailment
2. Repression
3. Distortion
4. Undoing

Correct answer: 1. Derailment

Explanation: Derailment is a formal thought disorder and not a defense mechanism. Distortion involves modification of reality. Denial means refusal to accept the reality Undoing is an act to nullify the previous act.